Which of the following carcinomas commonly presents with neck nodes?
1. Cricoid
2. Glottis
3. Epiglottis
4. Anterior commissure

Correct answer: 3. Epiglottis

Explanation: (c) Epiglottis(Ref. Cummings, 6th ed., 1612)Epiglottis is a part of supraglottis.Anterior commissure is a part of glottis.Cricoid is a part of subglottis.